Scleritis is associated with some systemic disease including connective tissue disorder in:
1. 35% of cases
2. 50% of cases
3. 66% of cases
4. 85% of cases

Correct answer: 2. 50% of cases

Explanation: Ans. 50% of cases